Spherical lead balls that can be made from one pound of lead for a 12 bore shotgun:
1. 6
2. 8
3. 12
4. 24

Correct answer: 3. 12

Explanation: Ans. 12 The gauge of a firearm is a unit of measurement used to express the inner diameter (bore diameter) of the barrel. The gauge of firearms is determined by 1 pound / gauge = weight of lead sphere. weight of a solid sphere of lead that will fit the bore of the firearm and is expressed as the multiplicative inverse of the sphere's weight as a fraction of a pound. Thus there are twelve 12-gauge balls per pound